Tetracycline is the drug of choice for all except?
1. LGV
2. Cholerra
3. Plague prophylaxis
4. Pneumocystis carinii

Correct answer: 4. Pneumocystis carinii

Explanation: Ans. is 'd' i.e., Pneumocystis carinii